Most sensitive part of eye is:
1. Fovea centralis
2. Macula lutea
3. Blind spot
4. Temporal retina

Correct answer: 1. Fovea centralis

Explanation: Ans. Fovea centralis